Essential amino acid amongst the following -
1. Valine
2. Lysine
3. Threonine
4. All

Correct answer: 4. All

Explanation: Ans. is 4d' i.e.. All Nutritionally Essential Nutritionally Nonessentiai Arginine - semi essential Alanine Histidine Asparagine Isoleucine Asparatate Leucine Cysteine Lysine Glutamate Methionine Glutamine Phenylalanine Glycine Threonine Praline Tryptophan Serine Valine Tyrosine